Perioral & periorbital skin lesions are seen in:
1. Idiopathic thrombocytic purpura
2. Cutaneous vasculitis
3. Primary systemic amyloidosis (pinch purpura)
4. Lupus erethematosis

Correct answer: 3. Primary systemic amyloidosis (pinch purpura)

Explanation: (C) Primary systemic amyloidosis (pinch purpura)# AMYLOIDOSIS & SKIN LESIONS# Periorbital purpura> Amyloid deposition in the skin gives rise to particular dermatological lesions, which have been thoroughly described. Presentation to the dermatologist may be with any of the following features.> Purpura, petechiae, and ecchymoses occur commonly in the skin and mucous membranes.> They are due to intracutaneous hemorrhage, the result of amyloid infiltrating and weakening blood-vessel walls. These lesions may occur spontaneously and are particularly common in skin folds such as the eyelids, axillae, umbilicus, and anogenital area. Periorbital purpura may arise after coughing, sneezing, performing proctoscopy, or the valsalva maneuver.